CRP can be detected by
1. Latex agglutination test
2. Precipitation method
3. Enzyme immunoassays
4. All the above

Correct answer: 4. All the above

Explanation: Latex agglutination test is most likely used among the three.